A 32 weeks pregnant women presents with mild uterine contraction and on examination her vitals are stable and placenta previa type III is present. Best m/n is :
1. Bed rest + Dexamethasone
2. Bed rest + Nifedipine and Dexamethasone
3. Bed rest + Sedation
4. Immediate caesarean section

Correct answer: 2. Bed rest + Nifedipine and Dexamethasone

Explanation: Ans. is b i.e. Bed rest, Nifedipine and Dexamethasone